Muscle that causes flexion at elbow joint when forearm is semi - pronated
1. Biceps brachii
2. Brachialis
3. Coracobrachialis
4. Brachioradialis

Correct answer: 4. Brachioradialis

Explanation: Brachioradialis causes flexion at elbow joint when forearm is semi - pronated.